All of the following regarding Lichen planus are true except:
1. Does not involve mucous membrane
2. Associated with Hepatitis 'C
3. Topical steroid are the mainstay of therapy
4. Spontaneous remissions 6mo to 2 years

Correct answer: 1. Does not involve mucous membrane

Explanation: A. i.e. Does not involve mucous membrane